Cryptococcus neoformans is identified by:
1. AFB Stain
2. Grams stain
3. India ink
4. Rose Bengal

Correct answer: 3. India ink

Explanation: India ink